Housefly transmits-
1. Typhoid fever
2. Cholera
3. Amoebasis
4. All of the above

Correct answer: 4. All of the above

Explanation: House flies are called poers of infection. M.domestica,M.vicinia are the common house flies. They transmit infections by Mechanical transmission, vomit drop and defaecation. They are vectors of many diseases like Typhoid and paratyphoid fevers, diarrhoeas, dysentery, cholera, gastroenteritis, amoebiasis, helminthic infestations, poliomyelitis, conjunctivitis, trachoma, anthrax, yaws. Park's Textbook of Preventive and Social Medicine, 25th Edition, Pg 834